Sildenafil, a viagra like medicine, can be used for which of the following conditions?
1. Pulmonary hypertension
2. Essential hypertension
3. Malignant hypertension
4. Hypertension in pregnancy

Correct answer: 1. Pulmonary hypertension

Explanation: Phosphodiesterase inhibitors like sildenafil are indicated in Erectile dysfunction (Drug of choice) and Pulmonary hypertension Sildenafil selectively inhibits Phosphodiesterase (PDE)-V leading to increased cGMP levels and so is useful in erectile dysfunction. It can be administered orally. Adverse effects include headache, nasal congestion, flushing, visual disturbances (blue vision) etc. Colour vision defect is due to inhibition of PDE-VI present in the retina. Apart from their use in ED, sildenafil can also be used in the management of pulmonary hypertension. Other drugs of this group are vardenafil, udenafil, avanafil and tadalafil. Tadalafil- PDE-6 inhibition is not present